Thyroid carcinoma with pulsatile vascular skeletal metastasis is -
1. Papillary
2. Follicular
3. Medullary
4. Anaplastic

Correct answer: 2. Follicular

Explanation: Pulsatile secondaries are seen in:

Follicular carcinoma Thyroid
Renal cell carcinoma